K nail work on the pricliple of -
1. One point fixation
2. Two point fixation
3. Three point fixation
4. Four point fixation

Correct answer: 3. Three point fixation

Explanation: Ans. is 'c' i.e., Three point fixation * K-nail is used for transverse or short oblique fracture of femur, especially in isthemic area.* K-nail (Kuntscher cloverleaf intramedullary nail) provides three points fixation due to elastic deformation.* These three points of fixation are both ends of bone (2 points) and isthmus (3rd point).